Signs of Increased intracranial tension include:
1. Increased head size
2. Unexplained projectile vomiting
3. Persistent headache
4. All of the above

Correct answer: 4. All of the above

Explanation: Ans. D. All of the aboveThe intracranial space and its contents (brain, CSF and blood) are in a state of delicate equilibrium. After closure of sutures and fontanel the adaptive mechanisms to raised pressure in the brain are through the displacement of CSF from intracranial cavity and compensatory hemodynamic changes. Heart rate slows, respiratory rate is altered and blood pressure rises to maintain the cerebral circulation. Increased ICP may manifest as increasing head size and or papilledema, unexplained projectile vomiting, headache and diplopia and sixth cranial nerve palsy.